Paradoxical sleep is?
1. Seen in obstructive sleep apnea
2. REM sleep
3. NRM sleep
4. Narcolepsy

Correct answer: 2. REM sleep

Explanation: Ans. B REM sleepRef: Ganong, 25th ed. pg. 274* In REM sleep, the high amplitude slow waves in EEG during sleep are periodically replaced by rapid low voltage EEG activity which is identical to awake aroused state.* Now the point is that the person is sleeping while EEG record is like that of an awake patient. Hence REM sleep is called as paradoxical sleep.